Which of the following is a HLA class III molecule?
1. HLA-G
2. HLA-H
3. TNF-α
4. None of the above

Correct answer: 3. TNF-α

Explanation: HLA class III molecule -

TNF α and β 
Heat shock protein
Steroid 21-hydroxylase
C2, C9, C3 convertase